Most prominent spinous process is of
1. C2
2. C5
3. C6
4. C7

Correct answer: 4. C7

Explanation: The 7th cervical (C7) vertebra is the largest cervical vertebra the C7 has a large spinous process that protrudes posteriorly toward the skin at the back of the neck. This spinous process can be easily seen and felt at the base of the neck, making it a prominent landmark of the skeleton and giving the C7 the name vertebra prominens Description BD CHAURASIA S HUMAN ANATOMY Vol 3